In a bacterial growth curve, the period in which maximum cell size is obtained is_____
1. Beginning of Lag phase
2. End of lag phase
3. Beginning of stationary phase
4. Log phase

Correct answer: 2. End of lag phase

Explanation: Bacterial Growth Curve: The bacterial growth curve shows the following four distinct phases - 1) Lag phase: Bacteria adapt to their new environment. Enzymes and intermediates are formed and accumulate until they are present in concentrations that permit growth to resume. Bacterial cell size is maximum in end of the lag phase. It is Preparatory phase Accumulation of enzymes and metabolites 2. Log or Exponential Phase: 3. Stationary phase: The bacterial growth almost stops completely due to lack of essential nutrients, lack of water oxygen, change in pH of the medium, etc. and accumulation of their own toxic metabolic wastes. Death rate of bacteria equals the rate of replication of bacteria. Endospores start forming during this stage. Many bacteria start producing exotoxins. Bacteria become Gram variable and show irregular staining. 4. Decline phase: During this phase, the bacterial population declines due to death of cells. The decline phase starts due to - Accumulation of toxic products and autolytic enzymes and Exhaustion of nutrients. Involution forms are common in this stage.